All of the following is true about physical properties of dentin except
1. Dentin has limited ability to distort and regain its shape
2. Inorganic component comprises of plate shaped hydroxyapatite crystals of diameter 35nm and thickness 10 nm
3. 90% of the organic collagenous component mainly consists of Type 1 collagenous fiber
4. Non collagenous protein comprises of amelogenin

Correct answer: 4. Non collagenous protein comprises of amelogenin

Explanation: Non collagenous proteins of dentin are
Decorin and Biglycans ----Prevents premature mineralization
Dentin Phosphoprotein-----Acidic protein, helps in nucleation and crystal growth
Dentin Sialoprotein-----it is ameloblastin like protein containing 10% sialic acid and helps in crystal growth.